True/false statements about hepatocellular carcinoma. On CECT, rapid wash in and washout of contrast is seen in HCC. HCC is the most common primary malignant tumour of liver. LI-RADS provides algorithm for diagnosis of HCC. Fibrolamellar HCC has better prognosis. Alpha-fetoprotein is raised in 90% of HCC cases.
1. TTTTF
2. TFFTF
3. TFFFF
4. FTTTF

Correct answer: 1. TTTTF

Explanation: Hepatocellular carcinoma- Most common primary malignant tumour of liver. LI-RADS provides algorithms for use in diagnosis, surveillance and treatment response assessment of HCC. Since HCC derive its major supply from hepatic artery, there is rapid wash in and rapid wash out of contrast on CECT. Alpha-fetoprotein is raised in 50-60% of HCC cases.